Pigmentary glaucoma- findings seen is -
1. Fevy line
2. Flesscher's line
3. Hadson hauti line
4. Krukenberg's spindles

Correct answer: 4. Krukenberg's spindles

Explanation: Deposition of pigment granules in posterior surface of cornea is called krukenbergs spindle it is seen in pigment dispersion syndrome Ref:Comprehensive ophthalmology -6th edition chapter -10 page no :250